Carnitine is made-up of:
1. Leusine
2. Lysine
3. Lysine & methionine
4. Arginine

Correct answer: 3. Lysine & methionine

Explanation: Ans. (c) Lysine & methionineRef: Harpers Biochemistry, 30th edn. pg. 223-24* Carnitine is a quaternary ammonium compound biosynthesized from the amino acid lysine and methionine.* It is required for the transport of fatty acids from the intermembraneous space in the mitochondria, into the mitochondrial matrix during the breakdown of lipids for the generation of metabolic energy.